In pregnancy which of the following antihypertensive drug is contraindicated?
1. Hydralazine
2. Labetotlol
3. Ace inhibitors
4. Alpha methyldopa

Correct answer: 3. Ace inhibitors

Explanation: Ans. is 'c* i.e., Ace inhibitorsSafe antihypertensive in pregnancyAntibypertensive avoided in pregnancyo Hydralazineo Methyldopao Labetalolo Dihvdropyridine calcium channel blockerso Cardioselective b-blockero Prazosino Clonidineo Diureticso ACE inhibitorso Nonselective b-blockerso Sodium nitroprussideo Reserpine